A 70 - year- old man was administered penicilline intravenously. Within 5 minutes, he developed genralised urticaria, swelling of lips, hypotension and bronchospasm. The first choice of treatment is to administer:
1. chlorphenitramine inj.
2. Epinephrine inj.
3. High dose hydrocortisone tablet
4. nebulised salbutamol

Correct answer: 2. Epinephrine inj.

Explanation: Ans. is 'b' i.e. epinephrine injection Urticaria, swelling of lips, hypotension and bronchospasm within 5 minutes of i.v penicillin suggests anaphylactic reaction. It's a major problem with the use of penicillin.The t/t of choice for anaphylaxis is i.v epinephrine.